Whiplash injury is caused due to -
1. A fall from a height
2. Acute hyperextension of the spine
3. A blow on top to head
4. Acute hyperflexion of the spine

Correct answer: 2. Acute hyperextension of the spine

Explanation: Whiplash injury results from acute hyperextension of the cervical spine in the region of C4-C6 vertebrae.
Note: Both hyperflexion and hyperextension (i.e. flexion followed by hyperextension) are involved in the mechanism of whiplash injury. But it is hyperextension which causes damage to the spinal cord.